If prevalence of a disease increases, what is true?
1. PPV increases
2. PPV decreases
3. No effect on PPV
4. PPV may increase or decrease

Correct answer: 1. PPV increases

Explanation: Ans. is 'a' i.e., PPV increase